Which of the following tendon is used for transplantation in the body?
1. EHL
2. EDL
3. FHL
4. Plantaris

Correct answer: 4. Plantaris

Explanation: The long tendon of plantaris is used for tendon transplantation in the body.The plantaris is a rudimentary muscle and is accessory to the gastrocnemius. Its functional importance is of transplantation. Supplied by Tibial nerve .Ref: BD Chaurasia, 7th edition; Volume 3; Page no: 107